Rokitansky-Aschoff sinuses are seen in which of the following conditions?
1. Acute cholecystitis
2. Chronic cholecystitis
3. Xanthogranulomatous cholecystitis
4. Gallbladder carcinoma

Correct answer: 2. Chronic cholecystitis

Explanation: Rokitansky-Aschoff sinuses are seen in Chronic cholecystitis. It is due to outpouchings of mucosal epithelium through the wall of the gallbladder forming these sinuses. Can contain fragmented bill pigment stones.